Triad of hemobilia includes all, EXCEPT -
1. Pain
2. Fever
3. G.I. bleeding
4. Jaundice

Correct answer: 2. Fever